Characteristic of alcoholic liver is -
1. Perivenular fibrosis
2. Mallory hyaline
3. Spotty necrosis
4. All

Correct answer: 4. All

Explanation: Ans. is `a' i.e., Perivenular fibrosis; `b' i.e., Mallory hyaline & 'c' i.e., Spotty necrosisThe hallmark of alcoholic hepatitis is hepatocyte injury characterized by -(i) Balloning degeneration(ii) Spotty necrosis(iii) Polymorphonuclear infiltrate(iv) Fibrosis in perivenular and perisinusoidal space of disse.